Which of the following is the most common malignant tumor of infancy?
1. Neuroblastoma
2. Wilm's tumor
3. Polycystic kidney disease
4. Renal cell carcinoma

Correct answer: 1. Neuroblastoma

Explanation: a. Neuroblastoma(Ref: Nelson's 20/e p 2417, Ghai 8/e 616)Both Neuroblastoma & Wilms' tumor can present as a solid abdominal mass with calcifications.As the child in the given question is an infant, Neuroblastoma is the best answer.